An elderly female presents to the emergency department with history of fever, headache and double vision. Biopsy of temporal artery revealed panarteritis. The most likely diagnosis is
1. Nonspecific Arteritis
2. Polyarteritis Nodosa
3. Wegener's Granulomatosis
4. Temporal Arteritis

Correct answer: 4. Temporal Arteritis

Explanation: Answer is D i.e. (Temporal Arteritis): The clinical complex of fever, headache and diplopia together with panarteritis on biopsy of temporal artery suggests the diagnosis of temporal arteritis.